Metabolic abnormalities associated with Congenital Pyloric Stenosis in the early phase include all EXCEPT:
1. Hypokalemia
2. Aciduria
3. Hypochloremia
4. None of these

Correct answer: 2. Aciduria

Explanation: Aciduria REF: Bailey and love 25th edition page 79, Fundamentals of Pediatric Surgery by Peter Mattei Page 341, Clinical cases in surgery - Michelle Li, Stephanie C. Lin, Aaron B. Caughey Page 104 "The classical electrolyte abnormality associated withpyloric stenosis is hypokalemic, hypochloremic metabolic alkalosis, presumably due to ongoing gastric acid loss from vomiting. Paradoxical acidurea is sometimes noted (with progressive Hypokalemia and hypovolemia) because the kidney excretes protons in exchange of sodium in an attempt to conserve fluid" NOTE: Paradoxical aciduria is seen only after body stores of Sodium & Potassium get depleted. Initially there is alkaliuria, not aciduria.